Inhibition of spermatogenesis occurs by which of the following given drug ?
1. Gelusil
2. Gossypol
3. Gestodine
4. Gemcadiol

Correct answer: 2. Gossypol

Explanation: Gossypol Nonsteroidal compound MOA :Toxicity on seminiferous epithelium. Reduces sperm motility Libido and potency are not affected S/E : Hypokalemia ,edema, diarrhoea,breathlessness and neuritis